Skin and facia of great toe drains into
1. Vertical group of superficial inguinal lymph node
2. Horizontal group of superficial inguinal lymph node
3. Obturator lymph nodes
4. Deep inguinal lymph nodes

Correct answer: 1. Vertical group of superficial inguinal lymph node

Explanation: The superficial inguinal lymph nodes form a chain immediately below the inguinal ligament. They lie deep to Camper's fascia which overlies the femoral vessels at medial aspect of the thigh. They are found in the triangle bounded by the inguinal ligament superiorly, the border of the sartorius muscle laterally, and the adductor longus muscle medially. (Femoral Triangle of Scarpa) There are approximately 10 superficial lymph nodes. The superficial nodes drain to the deep inguinal lymph nodes.